Levosulpiride acts as an antagonist of which central dopamine receptor
1. D1
2. D2
3. D3
4. D4

Correct answer: 2. D2

Explanation: D2 receptor antagonists being explored as prokinetic agents include levosulpiride, the levo-enantiomer of sulpiride Levosulpiride is claimed to have mood elevating properties. Levosulpiride is used in the treatment of psychoses, particularly negative symptoms of schizophrenia, anxiety disorders, dysthymia, vertigo, dyspepsia, irritable bowel syndrome and premature ejaculation. Ref: G&G 12e pg:1506